Intermittent claudication is caused by ?
1. Venous occlusion
2. Arterial insufficiency
3. Neural compression
4. Muscular dystrophy

Correct answer: 2. Arterial insufficiency

Explanation: Ans. is 'b' i.e., Arterial insufficiency